'Saturnism' is seen in
1. Chronic lead poisoning
2. Chronic mercury poisoning
3. Chronic phosphorus poisoning
4. Chronic gold poisoning

Correct answer: 1. Chronic lead poisoning

Explanation: Chronic Poisoning (Plumbism, Saturnism or Saturnine Poisoning) Chronic lead poisoning may occur in the industrial environment due to inhalation of lead dust or lead vapour arising from burning of paints, battery, smouldering, glass blowing and polishing, enamel factories, dye, cosmetic, etc. It may also occur due to low dose consumption from drinking water supplied through lead pipes, food preserved in tin containers having lead lining, food contaminated with lead in the course of preservation, etc. Poisoning may occur due to prolonged use of vermilion and cosmetics containing lead. Absorption of tetraethyl lead through skin is common in people who handle petrol or gasoline. Ref : Krishnan vij Textbook of Forensic medicine and Toxicology 5th edtion ; pg no - 469